Rule of Hasse is used to determine:
1. The age of fetus
2. Height of an adult
3. Race of a person
4. Identification

Correct answer: 1. The age of fetus